Radial nerve passes through the radial groove, the other is -
1. Ulnar nerve
2. Median nerve
3. Musculocutaneous nerve
4. Lower lateral cutaneous nerve of arm

Correct answer: 4. Lower lateral cutaneous nerve of arm